The value of protein in Soybean is about -
1. 43%
2. 50%
3. 58%
4. 64%

Correct answer: 1. 43%

Explanation: Soyabean consist of 40percent of proteins. REF. PARK'S TEXTBOOK OF PREVENTIVE AND SOCIAL MEDICAL 21ST EDITION.PAGE NO - 580